Which of the following medications is contraindicated in patients with allergy to sulphonamides?
1. Levobunolol
2. Bimatoprost
3. Brinzolamide
4. Brimonidine

Correct answer: 3. Brinzolamide

Explanation: Acetazolamide, Dorzolamide and Brinzolamide are sulfonamide derivatives which act by inhibiting carbonic anhydrase (carbonic anhydrase inhibitor). Being sulphonamide derivatives they are contraindicated in patients with allergy to sulphonamides. Ref: Essentials of Pharmacology By K D Tripathi, 5th Edition, Pages 188, 553; Medicinal Chemistry By Sriram, Page 227.